Gamna-Gandy bodies contains hemosiderin along with?
1. Na+
2. Ca++
3. Mg ++
4. Cl-

Correct answer: 2. Ca++

Explanation: Gamna-Gandy bodies Yellow-brown siderotic bodies seen commonly in fibrocongestive splenomegaly. Contains hemosiderin along with Ca++. Seen in: Portal hypertension Sickle cell anemia Hairy cell leukemia